Not true about Antro choanal polyp
1. Best examined with Anterior Rhinoscopy
2. Less recurrence rate
3. Seen in young individuals
4. Usually unilateral

Correct answer: 1. Best examined with Anterior Rhinoscopy

Explanation: Best examined with posterior Rhinoscopy.